All of the following are associated with low complement levels except;
1. Lupus nephritis
2. Mesangio capillary glomerulonephritis
3. Diarrhea-associated hemolytic uremic syndrome
4. Post-infections glomerulonephritis

Correct answer: 3. Diarrhea-associated hemolytic uremic syndrome

Explanation: Answer is C (Diarrhea associated hemolytic uremic syndrome) Lupus Nephritis, post streptococcal glomerulonephritis and membrano proliferative glomerulonephritis are all associated with low complement levels as depicted in the table in the previous question. Depressed complement levels are not seen in HUS Hemolytic uraemic syndrome is characterized by microangiopathic hemolytic anemia, thrombocytopenia and renal failure due to microangiopathy. Depressed complement levels are not seen and laboratory features include: Thrombocytopenia Normal tests of coagulation with exception of elevated fibrin degradation products Microangiopathic hemolytic anemia: striking red blood cell fragmentation on peripheral blood smear LDH elevation, out of proportion to degree of hemolysis.